Iron overload occurs in all, except -
1. Thallassemia
2. Myelodysplastic syndrome
3. Polycythemia vera
4. Sideroblastic anaemia

Correct answer: 3. Polycythemia vera